The drug of choice for chemoprophylaxis in contacts of a patient of pneumonic plague is :
1. Penicillin.
2. Rifampicin
3. Erythromycin.
4. Tetracycline.

Correct answer: 4. Tetracycline.

Explanation: Ans. is 'd' i.e. Tetracycline Park writes- "The drug of choice for chemoprophylaxis is Tetracycline. For adults the dose in 500 mg 6 hourly for 5 days. A cheaper alternative is sulfonamideRemember that -DOC for treatment of Plague is streptomycin*. Tetracycline is an alternative drug.Also Remember-The DOC for chemoprophylaxis and treatment of the following diseases- :DiseaseDOC for ChemoprophylaxisDOC for TreatmentPlagueTetracycline*Streptomycin*InfluenzaAmantadine or RimantadineAmantadine* or RimantadineDiptheriaErythromycin*Penicillin* or ErythromycinMeningococcal meningitisRifampicin* is the DOC (unless the organism is known to be sensitive tosulfadiazine)Penicillin*CholeraTetracycline*DOC for adults (except pregnant females is -Doxycycline*)DOC for Children -Trimethoprim sulfamethoxazole* DOC for Pregnancy -Furazolidone*Bacterial ConjunctivitisErythromycin ointment